What is the definitive treatment of choice of adenomyosis ?
1. Hormone therapy
2. Cryotherapy
3. Curettage
4. Hysterectomy

Correct answer: 4. Hysterectomy

Explanation: Treatment of adenomyosis is surgical; there is no role of hormone therapy. As patients are usually parous and aged, total hysterectomy with or without salphingo- opherectomy is treatment of choice.